Which of the following substance is toxic to neurons –
1. Unconjugated bilirubin
2. Bile salt
3. Haemoglobin
4. Melanin

Correct answer: 1. Unconjugated bilirubin